Prolactinoma in pregnancy, all are true except:
1. Most common pituitary tumor but rarely symptomatic
2. Increase in prolactin levels worse prognosis
3. Macroadenoma> 1 cm is associated with bad prognosis
4. Regular visual checkup

Correct answer: 2. Increase in prolactin levels worse prognosis

Explanation: Prolactinoma pituitary adenoma Prlactin level is >100ng/dl most are microadenoma<1cm diameter macroadenoma has bad prognosis visual field examination is essential to detect any compression effect on the optic nerves D.C.DUTTA'S TEXTBOOK OF GYNECOLOGY,Pg no:464,6th edition